Rabies virus is inactivated by
1. Phenol
2. UV radiation
3. BPL
4. All

Correct answer: 4. All

Explanation: The best method of diagnosis for Rabies is a demonstration of Rabies virus by immunofluorescence Materials from which it is collected
Antemortem → Corneal smears
Facial skin biopsy Postmortem → Brain
Rabies does not cause lifelong immunity, infact rabies infection causes the death of all patients. Rabies virus has a Single serotype.
Rabies vaccine is a killed inactivated vaccine. It is inactivated by phenol or β propiolactone. More Questions on Rabies virus.
It is a bullet-shaped virus.
The genome is.
Single-stranded RNA
Uncemented
Linear
Negative Sense
Rabies virus has haemagglutinating activity.